Feature(s) suggestive of Schizophrenia rather than organic psychosis is /are:
1. Third person hallucination
2. Split personality
3. Visual hallucination
4. Altered sensorium

Correct answer: 1. Third person hallucination

Explanation: Ans: A (Third person hallucination) Organic Mental Disorder: Features suggestive of high index of suspicion (Ahuja 5th/20)1. First episode2. Sudden onset3. Older age of onset4. Prominent visual or other non auditory hallucinations5. Neurological signs or symptoms like seizure, impairment of counciousness, head injury, sensory or motor disturbances6. Presence of confusion, disorientation, memory impairment or soft neurological signs7. Concurrent medical or neurological illness8. History of drug or alcohol abuse disorderHallucination in Schizophrenia"Only the third person hallucination are characteristic of schizophrenia Auditory hallucinations are by far the most frequent hallucination. Visual hallucination can also occur, usually along with auditory hallucination'- Ahuja 5th/58Systematized & Nonsystematized delusion (Kaplan & Sadock's 8th977-978)Systematized delusions are usually restricted to well delineated areas & are ordinarily associated with a clear sensorium & absence of hallucinations. They are often associated from other aspect of behavior. In contrast, Nonsystematized delusion usually extend into many areas of life & new people & situations -are constantly incorporated to further support the presence of the delusionWhereas the patient with a closed systematized delusional system may go about life relatively unperturbed , the patient with a nonsystematized delusion frequentaly has poor social functioning & often behaves in response to the delusional beliefs.